Abnormal plasma choline esterase produces apnea due to which of the following –
1. Halothane
2. Lignocaine
3. Suxamethonium
4. Isoflurane

Correct answer: 3. Suxamethonium

Explanation: Sch can cause dangerous hyperkalemia in patients with extensive soft tissue & muscle injury (crush injury) which may cause cardiac arrest.